Carbimazole as compared to propylthiouracil:
1. Is less potent
2. Is shorter acting
3. Does not produce an active metabolite
4. Does not inhibit peripheral conversion of T4 to T3

Correct answer: 4. Does not inhibit peripheral conversion of T4 to T3

Explanation: (Ref: KDT 6/e p250) Carbimazole Propylthiouracil Produces an active metabolite, methimazole No active metabolite Less plasma protein binding (PPB) More PPB Crosses placenta Does not cross placenta More potent Less potent Does not inhibit 5'-deiodinase Inhibits 5'-deiodinase